Sign of lymphatic spread in carcinoma stomach is
1. Troisier's sign
2. Krukenberg's tumour
3. Sister Mary Joseph's nodules
4. Trousseau's sign

Correct answer: 1. Troisier's sign

Explanation: Troisier's sign : tumour appearing in the supraclavicular nodes, it is by lyphatic spreadBlumer's shelf (pouch of Douglas), Krukenberg's (ovaries) and Sister Josephs's (umbilicus) are by transperitoneal spreadTrousseau sign of malignancy is migratory thrombophlebitis a Non-metastatic effect of malignancyTrousseau sign of latent tetany: In hypocalcemia, a blood pressure cuff is placed around the arm and inflated to a pressure greater than the systolic blood pressure and held in place for 3 minutes. This will induce spasm of the muscles of the hand and forearm.Bailey and love 27e pg: 1133